A 7 years old child has conservative behavior, not playing quietly with peers, and difficulty in the organization. He also interrupts other in school and early gets distracted. Which of the following is likely diagnosis -
1. Learning disorder
2. Autistic disorder
3. Attention deficit hyperactive disorder
4. Conduct disorder

Correct answer: 3. Attention deficit hyperactive disorder

Explanation: This 7 years child:-


Has difficulty in organizing tasks → Symptom of inattention
Is easily distract→ Symptom of inattention
Interrupts others → Symptom of impulsivity
Has difficulty playing quietly → Symptom of hyperactivity


Diagnosis ADHD